Secondary hemolytic anemia is seen in all except:
1. CML
2. A.CLL
3. Continuous renal replacement therapy (CR)
4. Extra corporeal membrane oxygenation (ECMO)

Correct answer: 1. CML

Explanation: Secondary hemolytic anemia is seen in : Chronic lymphocytic leukemia(CLL) Continuous renal replacement therapy(CR) Extracorporeal membrane oxygenation (ECMO) Chronic lymphocytic leukemia (CLL) and small lymphocytic lymphoma (SLL) differ only in the degree of peripheral blood lymphocytosis. Most affected patients have sufficient lymphocytosis to fulfill the diagnostic requirement for CLL (absolute lymphocyte count > 5000 per mm3). CLL is the most common leukemia of adults in the Western world.